Conjunctivitis is caused by all EXCEPT :
1. CMV
2. Enterovirus 70
3. Coxsackies A 24
4. Adenovirus

Correct answer: 1. CMV

Explanation: Ans is 'a' i.e. CMV Enterovirus 70 causes - Acute hemorrhagic conjunctivitisCoxsackie A-24 causes - Acute hemorrhagic conjunctivitisAdenovirus causes - Epidemic keratoconjunctivitis (usually by type 8, 19, 37)Acute Follicular conjunctivitis (Type 3, 4 and 11 are commonly implicated)CMV does not cause conjunctivitis